Ophthalmia nodosa is seen with
1. Onchocerciasis
2. Caterpillar hair in conjunctiva
3. Pseudoexfoliation syndrome
4. Pinguecula

Correct answer: 2. Caterpillar hair in conjunctiva

Explanation: *Ophthalmia nodosa: Conjunctival inflammatory nodule due to caterpillar hair or tarantula hair *Can lead to chronic conjunctivitis and visually disabling corneal scars , cataract, vitritis and macular edema *Treatment: removal of the offending agent and managing inflammation through corticosteroid treatment.